Drug of choice for obscessive compulsive disorder is:
1. Fluoxetine
2. Clomipramine
3. Clonazepam
4. Carbamazepine

Correct answer: 1. Fluoxetine

Explanation: Fluoxetine